Leucocytopenia is seen in
1. influenza
2. agranulocytosis
3. liver cirrhosis
4. all of the above

Correct answer: 4. all of the above